Certain obligations on the part of doctor who undertakes postmortem examination are following except -
1. The examination should be meticulous and complete
2. Routinely record all positive findings and important negative ones
3. He must keep the police informed about the findings
4. He must preserve viscera and send for toxicology examination in case of poisoning

Correct answer: 3. He must keep the police informed about the findings

Explanation: It is not obligatory on the part of doctor to keep the police informed about the findings.
Examination in autopsy should be meticulous and complete.
Doctor should record all positive findings and important negative findings.
Doctor must preserve viscera and send for toxicological examination in case of poisoning.